DDT is a type of:
1. Natural insecticide
2. Synthetic insecticide
3. Organophosphate insecticide
4. None of the above

Correct answer: 2. Synthetic insecticide

Explanation: DDT (Dichloro-diphenyl-trichlorothane): DDT is a synthetic insecticide. First synthesized by: 'Ziedler' & Insecticidal properties are discovered by: 'Paul Muller'. DDT contains active component:para para isomer. Mechanism of action: Contact poison, inhibits Acetylcholinestrase enzyme. Types of insecticides: Natural insecticides : Pyrethrum ; Rotenone; Derris; Nicotine; Mineral oils. Synthetic insecticides: Organo-chlorlne compounds DDT;Methoxychlor; HCH (BHC); Lindane; Chlordane; Heptachlor; Kepone; Mirex etc. Organo-phosphorous insecticides Chlohion ;Ronnel; Diazinon; Trichlorfon; Dioxathion; Dichlorvos; Demethoate; Abate (OMS-786); Malathion (OMS-1); Gardona; Fenthion (OMS-2) ; Chlorpyrifos; Methyl parathion; Fenitrothion (OMS-43); Parathion Dicapthon (OMS-214) etc. Carbamates Carbary; Dimetilan; Pyrolan; Propoxur (OMS-33) etc. Synthetic pyrethroids Resmethrin; Bioresmethrin; Pothrin etc. Repellents Meta-diethyltoluamide; Benzyl benzoate; Indalone; Dimethyl phthalate; Ethyl hexanediol etc. Stomach poisons: Paris green; sodium fluoride etc. Fumigants: Hydrogen cyanide; methyl bromide; sulphur dioxide; carbon disulphate etc.